In addition to ETEC another strain of E.coli that causes Travellers diarrhea is
1. EIEC
2. EHEC
3. EAEC
4. EPEC

Correct answer: 3. EAEC

Explanation: .Enteropathogenic Escherichia coli (EPEC) is a non-Shiga toxin-producing strain of E. coli that causes diarrhea an "attaching and effacing" mechanism on the surface of enterocytes . In adults, EPEC diarrhea presents as watery diarrhea (sometimes associated with vomiting) in association with a low-grade fever